Which of the following is not key area in health promotion of Ottawa charter?
1. Build health public policy
2. Create supportive environment for health
3. Reorient health services
4. Quality of life

Correct answer: 4. Quality of life

Explanation: Five key areas in health promotion of Ottawa charter: Build healthy public policy Create supportive environment for health Reorient health services Strengthen community action for health Develop personal skills. Ref : Park 23rd edition Pgno : 31